All of the following statements regarding case control and cohort studies are true, except-
1. Cohort studies are chosen based on history of 'Exposure'
2. Cohort studies require longer time frame than case control studies
3. Cohort studies are suitable to investigate 'rare' disease
4. Cohort studies yield information about more than one disease

Correct answer: 3. Cohort studies are suitable to investigate 'rare' disease

Explanation: Case-control study is useful to investigate rare diseases or diseases about which little is known. But a disease which is rare in the general population (e.g, leukemia in adolescence) may not be rare in special exposure groups (e.g prenatal X- rays) (refer pgno:74 park 23 rd edition)